Granulation tissue appearance is due to -
1. Thrombosed capillaries
2. Chronic inflammatory cells
3. Budding ends of capillaries
4. Densely packed collagen

Correct answer: 3. Budding ends of capillaries

Explanation: Granulation tissue is a highly vascularized connective tissue. It is formed when tissue heals by scar formation. It appears pink and granular because of newly formed capillaries present in it.
It also consists of:

Fibroblasts
Residual inflammatory cells